Drug transport mechanisms include:  a) Active transport b) Passive transport c) Lipid solubility d) Bioavailability e) Distribution
1. ab
2. ae
3. ad
4. bc

Correct answer: 1. ab